Widal test is a method of?
1. Direct Coomb's test
2. Indirect Coomb's test
3. Tube agglutination test
4. Precipitation test

Correct answer: 3. Tube agglutination test

Explanation: For Typhoid